A patient comes with hematemesis and melena. On the upper GI endoscopy there was no significant finding. 2 days later the patient rebleeds. Next line of investigation is:
1. Emergency angiography
2. Repeat upper GI endoscopy
3. Enteroscopy
4. Laparotomy

Correct answer: 2. Repeat upper GI endoscopy

Explanation: Ans. (b) Repeat upper GI endoscopyRef: Sabiston 19th Edition, Page 1166* Endoscopy is advised even in cases in which previous endoscopy doesn't show any abnormality.